During anaesthetic procedure, compression of cricoid cartilage –
1. Prevents spinal headache
2. Helps in preventing regurgitation
3. Aid in intubation
4. Help to relieve reflex bronchospasm

Correct answer: 2. Helps in preventing regurgitation